All of the following are true about Frederich's ataxia except-
1. Autosomal recessive
2. Spinal cord, dorsal root ganglion cell are primarily involved
3. Weakness in lower limbs
4. Plantar flexor response

Correct answer: 4. Plantar flexor response